Hot potato voice is characteristic of
1. Pre tonsillar abscess
2. Glottis carcinoma
3. Subglottic carcinoma
4. Supraglottic carcinoma

Correct answer: 1. Pre tonsillar abscess

Explanation: Peritonsillar abscess shows muffled and thick speech often called as " hot potato voice ". Ref: Textbook of diseases of ENT, PL Dhingra, 7th edition, pg no. 298